In a patient diagnosed to have choriocarcinoma which is the most common site of metastasis?
1. Liver
2. Lungs
3. Brain
4. Ovaries

Correct answer: 2. Lungs

Explanation: Lungs are the most common site of metastasis (75%) followed by vagina (50%). The vulva, kidneys, liver, ovaries, brain, and bowel also may contain metastases. Metastases often develop early and are generally blood-borne because of the affinity of trophoblastic cells for blood vessels.